What poisoning retards putrefaction :
1. Phosphorus
2. Arsenic
3. Mercury
4. Lead

Correct answer: 2. Arsenic

Explanation: B i.e. Arsenic